Sympathetic opthalmia is:
1. U/L suppurative uveitis
2. B/L suppurative uveitis
3. U/L non- suppurative uveitis
4. B/L non- suppurative uveitis

Correct answer: 4. B/L non- suppurative uveitis

Explanation: D i.e. B/L non-suppurative uveitis